Which of the following enzymes is involved in the urea cycle?
1. Asparginase
2. Glutaminase
3. Argininosuccinate synthetase
4. Glutamate dehydrogenase

Correct answer: 3. Argininosuccinate synthetase

Explanation: Argininosuccinate synthase links aspartate and citrulline via the amino group of aspartate and provides the second nitrogen of urea.